Malignant glaucoma is seen in –
1. Malignancy
2. After surgery for cataract or glaucoma
3. Trauma
4. Thrombosis

Correct answer: 2. After surgery for cataract or glaucoma

Explanation: Malignant glaucoma occurs following an iridectomy, filtering surgery (Trebaculectomy) or laser irodotomy. It may also occur after cataract surgery, capsulotomy or even spontaneously.